All are included in the diagnostic criteria for clostridium difficile infection, EXCEPT:
1. 3 unformed stools per 24h for 2days
2. Toxin A or B detected in the stool
3. Pseudo membranes in colonoscopy
4. Fever

Correct answer: 4. Fever

Explanation: The diagnosis of CDI is based on: 1. Diarrhea (3 unformed stools per 24 h for 2 days) with no other recognized cause PLUS 2. Toxin A or B detected in the stool, 3. Toxin-producing C. difficile detected in the stool by polymerase chain reaction (PCR) or culture. 3. Pseudomembranes in the colon. ALSO KNOW: Endoscopy is a rapid diagnostic tool in seriously ill suspected patients A negative test does not rule out infection Ref: Harrison, Edition-18,page-1093.